Which one of the following is not included in Jone's Major criteria aEUR'
1. Pan carditis
2. Chorea
3. Subcutaneous nodule
4. High ESR

Correct answer: 4. High ESR

Explanation: High E.S.R. * The Jones criteria for rheumatic fever: Major criteria Minor cirteria * Carditise * Migratory polyahritise * Sydenham's chorea0 * Subcutaneous nodulese * Erythema marginaturne Clinical * Fever0 * Arthralgiae Laboratory * Elevated acute phase reactants0 * Prolonged PR interval PLUS * Supporting evidence of a recent group A Streptococcal infection (e.g. positive throat culture or rapid antigen detection test; and or elevated or increasing streptococcal antibody test).